Mechanism of action of teduglutide in short bowel syndrome:-
1. GLP-2 analogue
2. HT la inhibitor
3. GLP-1 analogs
4. C- peptic analogs

Correct answer: 1. GLP-2 analogue

Explanation: RCT's have shown that, teduglutide, a GLP-2 analogue (Glucagon like peptide -2) is resistant to degradation by the proteolytic enzyme dipeptidyl peptidase 4 and therefore has a longer half-life than GLP-2. It is well tolerated and has led to the restoration of intestinal functional and structural integrity through intestinotrophic and proabsorptive effects. Short bowel syndrome: Caused by resection / bypass surgery of small intestine Causes severe diarrhoea and impaired nutrient absorption leading to severe malnutrition Usually appears if length of small intestine < 200 cms Medical management Anti-diarrhoeal agents Cholestyramine Vitamin supplements Mainstay treatment: Teduglutide (GLP -2 analogue)